Primary closure of incised wounds must be done within:
1. 2 hours
2. 4 hours
3. 6 hours
4. 12 hours

Correct answer: 3. 6 hours

Explanation: WOUNDS CAN BE CLOSED BY 

Primary suture: 

  - Clean wounds
  - Selected contaminated wounds after thorough wound toileting and debridement

Delayed primary suture:

 - Heavily contaminated wounds
 - Wounds in which wound toileting has been delayed for 6-8 hours

Left open to heal by secondary closure